Bagassosis is most likely caused due to the inhalation of the dust of -
1. Free silica
2. Coal
3. Sugar cane
4. Cotton fibre

Correct answer: 3. Sugar cane

Explanation: - bagassosis is the occupational disease of the lung caused by inhalation of bagasse or sugarcane dust. - due to thermophilic actinomycete Thermoactinomyces sacchari. - symptoms include breathlessness, cough, hemoptysis and slight fever. - if left untreated, diffuse fibrosis,emphysema and bronchiectasis occurs. Reference : Park's textbook of preventive and social medicine, 23 rd edition, pg no 807